A middle aged man diagnosed of having T3N1M0 stage of carcinoma of larynx. Which among the following is the best treatment modality for this patient?
1. Radiotherapy
2. Surgery
3. Organ preservation treatment with combined chemotherapy and radiation therapy
4. Surgery and radiotherapy

Correct answer: 3. Organ preservation treatment with combined chemotherapy and radiation therapy

Explanation: This patient is in stage III carcinoma of larynx. T3= Vocal cord fixation N1= Single ipsilateral lymph node 3 cm M0= No distant metastases Advanced-stage larynx cancer (Stages III and IV) was historically treated by dual-modality therapy with surgery and radiation. For most T3 and T4 tumors, where total laryngectomy is required for the complete removal of the tumor with amply clear margins, organ preservation treatment with combined chemotherapy and radiation therapy is preferred because there is no difference in overall survival and a superior quality of life.